Gas absent from intestine (gasless abdomen) on x-ray is seen in which condition?
1. Acute pancreatitis
2. Necrotizing enterocolitis
3. Intussusception
4. Ulcerative collitis

Correct answer: 1. Acute pancreatitis

Explanation: Acute pancreatitis - In acute pancreatitis due to damaged duct and acini there is extravasation of pancreatic enzymes such as lipase into the peritoneal cavity. - This causes digestion of fat of greater omentum which in turn leads to formation of fatty acid & glycerol. - Free fatty acid combines with calcium and leads to formation of chalky white deposits known as "SAPNOFICATION" - Patients of pancreatitis presents with hypocalcaemia as calcium is used up for saponification. - The pancreatic enzymes that entered into peritoneal cavity also causes Paralytic ileus - X-ray findings of Paralytic ileus: Gasless abdomen Ground Glass appearance Sentinel loop Colon cut-off sign